For acute leukaemia the blast cells should be more than ____%-
1. 10
2. 20
3. 30
4. 40

Correct answer: 2. 20